Which is not a feature of paroxysmal nocturnal hemoglobinuria ?
1. Increased LAP score
2. Thrombosis
3. Thrombocytopenia
4. Hemolysis

Correct answer: 1. Increased LAP score

Explanation: Ans. is 'a' i.e., Increased LAP score